Sanitation barrier' implies -
1. Segregation of faeces
2. Personal hygiene
3. Elemination of flies
4. Water pollution

Correct answer: 1. Segregation of faeces

Explanation: The disease cycle can be broken by segregation of faeces,protection of water suplies,protection of foods,personal hygiene,and control of flies.Of these most effective is to segregate faecesand arrange for its proper disposal,so that disease cannot reach new host. Segregation of excreta is embloyed by imposing a "sanitation barrier".This barrier can be provided by 'sanitary latrines' and 'disposal pits'. Sanitation barrier helps in segregating excreta and preventing the disesae agent from reaching new host. Parks textbook of preventive and social medicine.K Park. Edition 23. page no:756